Right axis deviation is seen In all except-
1. Ostium primum ASD
2. Dextrocardia
3. Pulmonary hypertension
4. Ostium secundum ASD

Correct answer: 1. Ostium primum ASD

Explanation: Right axis deviation also may occur as a normal variant (particularly in children and young adults), as a spurious finding due to reversal of the left and right arm electrodes, or in conditions such as right ventricular overload (acute or chronic), infarction of the lateral wall of the left ventricle, dextrocardia, left pneumothorax, and left posterior fascicular block. The ECG in severe pulmonary hypertension shows P pulmonale, right axis deviation, and RV hypertrophy. In ostium secundum ASD, electrocardiogram (ECG) usually shows right-axis deviation and an rSr' pattern in the right precordial leads representing enlargement of the RV outflow tract. ( Harrison's principle of internal medicine,18th edition,pg no.1834 )